In triple screening test for Down's syndrome during pregnancy all of the following are included except.
1. Serum beta hCG
2. Serum oestriol
3. Maternal serum Alfa fetoprotein
4. Acetyl cholinesterase

Correct answer: 4. Acetyl cholinesterase

Explanation: Triple marker test- done from 16th week onwards Markers in triple test Trend seen in Down's syndrome hCG | UE3 | Alpha feto protein |